Cardiac output in L/min divided by heart rate equals
1. Cardiac efficiency
2. Mean stroke volume
3. Cardiac index
4. Mean arterial pressure

Correct answer: 2. Mean stroke volume

Explanation: Ans. (b) Mean stroke volumeRef: Ganong, 25th ed/p.544Cardiac output is the product of heart rate (HR) and stroke volume (SV)So, Cardiac output/heart rate = stroke volume